All of the following are true about chronic venous congestion of liver except
1. Gamma Gandy bodies are seen
2. Nutmeg liver is seen
3. Dilated blood channels are seen
4. Right sided heart failure is the most common cause

Correct answer: 1. Gamma Gandy bodies are seen

Explanation: CVC liver Cause: right sided heart failure is the most common Mechanism: dilatation of Central veins- transmission of increased venous pressure to the sinusoids- dilatation of sinusoids-ischemic necrosis of hepatocytes in the centrilobular region Gross: cut section shows alternate dark and light areas( nutmeg liver) Microscopy: congestion, hemorrhage, fibrosis in the centrilobular region. Fatty change of hepatocytes in periportal region. Gamna Gandy bodies seen in CVC spleen. GENERAL AND SYSTEMIC PATHOLOGY RAMDAS NAYAK SECOND EDITION PAGE 83 IMAGE REF: GENERAL AND SYSTEMIC PATHOLOGY RAMDAS NAYAK SECOND EDITION FIG:5.2 PAGE 84